Infected tissues demonstrating budding fungal cells are seen in
1. Coccidioidomycosis, chromomycosis, aspergillosis
2. Tinea versicolor, tinea nigra, candidiasis
3. Blastomycosis, paracoccidioides, dermatophytosis
4. Candidiasis, cryptococcosis, and sporotrichosis

Correct answer: 4. Candidiasis, cryptococcosis, and sporotrichosis

Explanation: Cryptococcus neoformans causes cryptococcosis, especially cryptococcal meningitis. The organisms can be seen in cerebrospinal fluid (CSF) in India ink preparations as an oval budding yeast surrounded by a wide, unstained polysaccharide capsule. Candida albicans, the most important species of Candida, causes thrush and vaginitis, as well as other diseases. It may appear in tissue as a budding yeast or as elongated pseudohyphae (non-septate). Sporothrix schenckii is a dimorphic fungus which appears as round or cigar-shaped budding yeasts in tissue. It causes a local pustule or ulcer that may become chronic.